Brain metastasis are common among which of the following malignancy
1. Breast
2. Testis
3. Thyroid
4. Tongue

Correct answer: 1. Breast

Explanation: Ans) a (breast) Ref: Sabiston's textbook of surgery 18th editionMetastatic brain tumors are the most common tumors of the brain.They out number primary brain tumors by 10 to 1The most common primary sites are lung (50%), breast cancer (15%-20%), unknown pri mary cancer (10%-15%), melanoma (10%)Metastases to the brain are multiple in more than 70% of casesMRI with gadolinium enhancement is the diagnostic study of choice for metastases